One of the obvious consequences of alchol (ethanol), ingestion in many individuals is facial flushing and increased heart rate triggered off by alcohol getting metabolized to
1. Formaldehyde
2. Acetaldehyde
3. Propanaldehyde
4. Butanaldehyde

Correct answer: 2. Acetaldehyde